Which of the following goes beyond what the federal Patient Self Determination Act requires hospitals to do for all patients admitted?
1. Provide all adults with information about their right to accept or refuse treatment if life-threatening conditions arise
2. State the institution's policy on advance directives
3. Not discriminate in care given on the basis of patients' wishes
4. Require assignment of donor organs

Correct answer: 4. Require assignment of donor organs

Explanation: Hospitals must now inform patients about their rights to accept or refuse terminal care. Such information has to be documented in the patient's chart. The patient has the option to make a clear assignment of who can make decisions if the patient cannot. Patients are not required to allow organ donation.